Which of the following describes grade 2 fracture neck femur?
1. Incomplete fracture, medial trabeculae intact
2. Complete fracture with undisplaced neck
3. Complete fracture with ischemic head
4. Moderate displacement of neck, vascularity damaged

Correct answer: 2. Complete fracture with undisplaced neck

Explanation: REF : MAHESWARI 9TH ED